All the following that act as ionic channels except
1. Nicotine
2. Insulin
3. Glibenclamide
4. Diazepam

Correct answer: 2. Insulin

Explanation: Nicotin acts on NN and NM receptor which are Ino tropic receptors Diazepam act on GABA-BZD CL channel Complex that mediates entry of chlori Glibenclamide is a sulpforylchloride that act on ACh sensitive K+ channel Insulin act on enzymatic receptors Ref-KDT 7/e p49